Hunter's canal is seen in-
1. Cubital fossa
2. Popliteal fossa
3. Thigh
4. Calf

Correct answer: 3. Thigh

Explanation: Ans. is 'c' i.e.. Thigh Adductor canal (Hunter's canal or subsartorial canal)o It is a narrow intermuscular aponeurotic tunnel in the medial aspect of middle one third of thigh, beneath the sartorius muscle. Above it is continuous with apex of femoral triangle. Below it is continuous with popliteal fossa through an opening in the adductor magnus, i.e. adductor hiatus. It is triangular in cross section. Boundaries of adductor canal are :Anterior wallVastus medialis.Posterior wall (floor) :- Adductor longus (above), adductor magnus (below).Medial wall (roof) Fibrous band connecting vastus medialis with adductor longus. Sartorius muscle and subsartorial nerve plexus lie on the roof.o Contents of adductor canal are femoral artery, femoral vein. Saphenous nerve, nerve to vastus m ed i a I i s. descending genicular artery. deep lymph vessels, and two terminal divisions of obturator nerve.